Small intestinal peristalsis is controlled by :
1. Myentric plexus
2. Meissners plexus
3. Vagus nerve
4. Para sympathetic system

Correct answer: 1. Myentric plexus

Explanation: Myenteric (Auerbach's) plexus is situated b/w and innervates outer longitudinal & middle circular muscular layers and is primarily concerned with motor controlQ. Submucosal (meissner's) plexus situated between middle circular layer and mucosa is primarly concerned with control of intestinal secretionQ as it innervates glandular epithelium, intestinal endocrine cells & submucosal blood vessels. Ref: Guyton 12th Ed.